Which of the following gas is most likely to cause the additive anaemia and neutropenia if administered to an AIDS patient taking zidovudine
1. Acyclovir
2. Amantadine
3. Ganciclovir
4. Stavudine

Correct answer: 3. Ganciclovir

Explanation: Ref-KDT 6/e p770 Galnciclovir is the drug of choice for CMV inlfeions It should nol be combined with zidovudine because both have bone marrow suppressant property.